Spinal cord end in newborn:
1. L1
2. L2
3. L3
4. L4

Correct answer: 3. L3

Explanation: Ans. C. L3 a. Spinal cord in adult ends at the level L1 b. Spinal cord in newborn ends at the level of L3 c. Spinal dura converges at the level of S2 and continues upto coccyxd. Arachnoid membrane ends at the level of S2 e. Sub arachnoid space ends at the level S2 f. Pia mater continues up to coccyx